HCV is -
1. Enveloped RNA
2. Nonenveloped RNA
3. Nonenveloped positive strand RNA
4. Enveloped negative strand RNA

Correct answer: 1. Enveloped RNA

Explanation: HCV is a 50-60 nm virus with a linear single stranded RNA genome enclosed within a core and surrounded by an envelope carrying glycoprotein spikes. REF:ANATHANARAYAN AND PANIKER'S TEXTBOOK OF MICROBIOLOGY 9TH EDITION PAGE NO:549